A 30-year-old female, known case of PCOD, on treatment presented to the gynecologist with complaints of hirsutism. She was given a topical application cream which acted by inhibiting ornithine decarboxylase enzyme. The same drug is useful in management of which of the following parasitic infection?
1. East African trypanosomiasis
2. West African trypanosomiasis
3. South American trypanosomiasis
4. Visceral leishmaniasis

Correct answer: 2. West African trypanosomiasis

Explanation: The topical application cream which is useful in the treatment of hirsutism and acts by inhibiting ornithine decarboxylase enzyme is Eflornithine hydrochloride. The same active molecule is useful in the treatment of West African trypanosomiasis. Treatment options for African trypanosomiasis (sleeping sickness): Treatment options for Chagas' disease: Nifurtimox or Benznidazole Treatment options for Kala Azar/Visceral Leishmaniasis : Liposomal Amphotericin B Or Sodium Stibogluconate Or Paromomycin Or Miltefosine (only effective oral drug for visceral leishmaniasis)